Maximum reabsorption of filtered glucose is from
1. PCT
2. DCT
3. Collecting disc
4. Thick ascending loop of Henle

Correct answer: 1. PCT

Explanation: Reabsorption is the act or process of absorbing again, as the absorption by the kidneys of substances that were already secreted into the tubules, such as glucose, proteins, or sodium. Glucose molecule is maximum absorbed through PCTRef: Ganong's review of medical physiology; 24th edition; page no; 682